In trauma transfusion, ratio of RBCs FFP and platelets:-
1. 1:01:03
2. 1:01:01
3. 1:01:02
4. 1:01:04

Correct answer: 2. 1:01:01

Explanation: In trauma transfusion, ratio of RBCs FFP and platelets should be 1:1:1. Because most patients do not require more than 6 units of PRBCs, most do not receive FFP. For patients who require more PRBCs, 7 to 12 units of PRBCs should be delivered along with 6 units of FFP and 1 unit of apheresis platelets. Preferably, the FFP and platelets should be transfused first, before the next 6 units of PRBCs are transfused. Thus, for a severely injured patient who will require massive transfusion, the ratio now starts to approach the preferred 1 : 1 : 1 ratio.